Site most infected in genital warts?
1. vulva
2. cervix
3. vagina
4. anus

Correct answer: 1. vulva

Explanation: Genital Warts Manifestation of HPV infection. Nononcogenic HPV types 6 and 11 are usually responsible for External genital warts Occur in areas most directly affected by coitus, namely the posterior fourchette and lateral areas on the vulva. Minor trauma associated with coitus can cause breaks in the vulvar skin, allowing direct contact between the viral particles from an infected man and the basal layer of the epidermis of his susceptible sexual partner. Less frequently, warts can be found throughout the vulva, in the vagina, and on the cervix.